A 60 years old man presents with acute onset of pain in lower abdomen followed by repeated rectal bledding Examination revealed pulse rate of 100/ minute, BP 160/96 mm of Hg and a localised tenderness in the left hypochondrium. Stools examination reveales only a few pus cells and sigmoidoscopy was normal. Which one of the following is the most likely diagnosis -
1. Idiopathic ulcerative colitis
2. Bacillary dysentery
3. Ischaemic colitis
4. Amoebic colitis

Correct answer: 3. Ischaemic colitis